Congenital hypertrophic pyloric stenosis is characterized by progressive gastric outlet obstruction. Incidence of congenital hypertrophic pyloric stenosis is highest in:
1. First female baby
2. First male baby
3. Second male baby
4. Second female baby

Correct answer: 2. First male baby

Explanation: Hypertrophic pyloric stenosis (HPS) is postnatal muscular hypertrophy of the pylorus. HPS occurs in approximately 1-8 per 1000 births and originally was believed to occur in first-born males between 3 and 6 weeks of age. Infants with HPS present with nonbilious vomiting that becomes increasingly projectile over the course of several days to weeks. Eventually, the infant develops almost complete gastric outlet obstruction. Infants with HPS develop a hypochloremic, hypokalemic metabolic alkalosis. Ramstedt pyloromyotomy is the treatment of choice and consists of incision down to the mucosa along the pyloric length. Ref: Sundaram S.S., Hoffenberg E.J., Kramer R.E., Sondheimer J.M., Furuta G.T. (2012). Chapter 21. Gastrointestinal Tract. In W.W. Hay, Jr., M.J. Levin, R.R. Deterding, J.J. Ross, J.M. Sondheimer (Eds), CURRENT Diagnosis & Treatment: Pediatrics, 21e.